Which is the most frequent cause of recurrent genital ulceration in a sexually active male?
1. Syphilis
2. Chancroid
3. Aphthous ulcer
4. Herpes genitalis

Correct answer: 4. Herpes genitalis

Explanation: The most frequent cause of recurrent genital ulceration in sexually active males is herpes genitalis which is caused by HSV type 2. In males it may present as balanoposthitis. The primary lesion consists of multiple tiny vesicles with an erythematous base, which usually resolves in about 3 weeks but may reappear at times of stress. The demonstration of multinucleated epithelial giant cells in the scrapings taken from the base of vesicles (Tzanck test) may help in the diagnosis of this condition. Ref: Fetal and Neonatal Pathology By Jean W. Keeling, 4th Edition, Page 411; CURRENT Diagnosis and Treatment in Family Medicine, 3rd Edition, Chapter 14.